The minimum possible score in "Glasgow coma scale'' is:
1. 0
2. 1
3. 3
4. 5

Correct answer: 3. 3

Explanation: Ans: C (3) Ref: Harrison 3 Principles of Internal Medicine. 18th edition. 2012. Chapter 267 (Table 267-1)Explanation:Glasgow Coma Scale for Head InjuryEye opening (E) Verbal response (V) Spontaneous4Oriented5To loud voice3Confused, disoriented4To pain2Inappropriate words3Nil1Incomprehensible sounds2 Nil1Best motor response (M) Obeys6 Localizes5 Withdraws (flexion)4 Abnormal flexion posturing3 Extension posturing2 Nil1 Note: Coma score = E + M + V,The lowest possible score = 1 + 1 + 1 =3